Legal age by which fetus is capable of independent existence is -
1. 240 days
2. 230 days
3. 220 days
4. 210 days

Correct answer: 4. 210 days

Explanation: Ref:Textbook of forensic medicine and toxicology (V.V.Pillay) 17th edition, page no.378 Viability of the Infant: Viability means the physical ability of a foetus to lead separate existence after birth apart from its mother, by virtue of a certain degree of development. A child is viable after 210 days of intrauterine life,and in some cases after 180 days.